All of the following are beta lactamase inhibitors except-
1. Clavulanic acid
2. Sulbactam
3. Tazobactam
4. Aztreonam

Correct answer: 4. Aztreonam

Explanation: Ans. is 'd' i.e., Aztreonam beta-lactamase inhibitors are clavulanic acid, sulbactam and tazobactam.